All are true about human chorionic gonadotrophin except
1. Glycosylated peptide hormone
2. Detected in serum 7 → 9 days after LH surge
3. hcG promotes apoptosis in nontrophoblastic neoplasia
4. Elevated hcG Levels are seen is down syndrome

Correct answer: 3. hcG promotes apoptosis in nontrophoblastic neoplasia

Explanation: hcG inhibits apoptosis in nontrophoblastic tumors, thereby allowing rapid growth.